What is the most common presentation of MEN1?
1. Entero-pancreatic tumour
2. Angio-fibroma
3. Pituitary adenoma
4. Parathyroid Adenoma

Correct answer: 4. Parathyroid Adenoma

Explanation: MEN 1 (11q13) Parathyroid adenoma 90% Entero-pancreatic tumour 30-70% Pituitary adenoma 15-50% Associated tumours Angiofibromas Collagenoma 85% 70%